Anesthetic of choice for status asthmaticus is?
1. Ketamine
2. Thiopentone
3. Ether
4. N2O

Correct answer: 1. Ketamine

Explanation: ANSWER: (A) Ketamine REF: Morgan's 3rd e p. 515Anesthetic of choice in status asthmaticusChildren - halothaneAdults - ketamine